A birthday party was attented by 200 people out of which 55 people develops food poisoning. what is the attack rate
1. 25%
2. 27%
3. 30%
4. 35%

Correct answer: 2. 27%